In which of the following a reduction in arterial oxygen tension occurs?
1. Anaemia
2. CO poisoning
3. Moderate exercise
4. Hypoventilation

Correct answer: 4. Hypoventilation

Explanation: Hypoventilation leads to hypoxic hypoxia where both arterial oxygen content and PO2 is low.